In an entry wound produced by rifled gun, the antemortem phenomenon is:-
1. Blackening
2. Charring
3. Tattooing
4. Dirt collar

Correct answer: 3. Tattooing

Explanation: Tattooing: It consists of unburnt or partially burnt powder particles that are embedded in and under the skin through the force of their impact (when the weapon is near enough for the powder grains to strike). Tattooing is an antemortem phenomenon and indicates that the individual was alive; and it cannot be wiped away with a wet cotton. It consists of numerous reddish-brown punctate abrasions surrounding the wound of entrance. The greater the range, the larger and less dense the powder tattooing. Marks usually heal completely if the individual survives (involves the superficial layer of the epidermis).